Most common carcinoma in female worldwide -
1. Cervix
2. Lung
3. Breast
4. Kidney

Correct answer: 3. Breast

Explanation: Ans. is 'c' i.e.. Breast Prevalence of cancer (5 most common) : Table-1 & Table-3 Park 23rd/e page - 382, 384o Overall cancers in world : Breast > Prostate > Colorectal > Lung > Cervixo Cancers in males in world : Prostate > Colorectum > Lung > Stomach > Urinary bladdero Cancers in females in world : Breast > Colorectum > Cervix > Uterus > Thyroido Overall cancers in India : Breast > Cervix > Lip / oral cavity > Colorectum > Prostateo Cancers in males in India : Lip /oral cavity > Prostate > Colorectum > Pharynx (other than nasopharynx) > L arynxo Cancer in females in India : Breast > Cervix > Ovary > Uterus > Colorectum